Post operative jaundice is because of use of –
1. Isoflurane
2. N2O
3. Methoxyflurane
4. Halothane

Correct answer: 4. Halothane

Explanation: Halothane can cause hepatitis. Jaundice is one of the clinical manifestations of hepatitis.